Which one of the following does not cause pulsus paradoxus?
1. Severe aortic regurgitation
2. Cardiac tamponade
3. Constrictive pericarditis
4. Acute severe bronchial asthma

Correct answer: 1. Severe aortic regurgitation

Explanation: Causes of pulsus parodoxus :Cardiac - common with cardiac tamponade, infrequent with constrictive pericarditisPulmonary - bronchospasm as in severe asthma or emphysema, pulmonary embolismMiscellaneous - obesity possibility due to excessive compression of IVC at thoracic inlet, after thoracotomyHypovolemic shockSVC obstructionReversed pulsus paradoxus - inspiratory rise in arterial systolic and diastolic pressure.Seen in HOCM, during intermittent positive pressure breathing (IPPB), isometric ventricular rhythm.